Estimation of age examination of teeth is by
1. Pearson's method
2. Gustafson's method
3. Gabon's method
4. Bertillon's method

Correct answer: 2. Gustafson's method

Explanation: (B) Gustafson's method # Gustafson's method is the formula used to determine the age of a person from changes in dental structures the age estimation is useful only for a person more than 21 yrs. transparency of tooth